Initial treatment of congenital dacryocystitis:
1. Massaging
2. Probing
3. DCR
4. Ointment

Correct answer: 1. Massaging

Explanation: Ans. Massaging